High glycogen content is seen in
1. Red fibers
2. Type 1 fibers
3. White fibers
4. Tonic fibers

Correct answer: 3. White fibers

Explanation: Glycogen content is high in white fibres.(REF: TEXTBOOK OF MEDICAL PHYSIOLOGY GEETHA N 2 EDITION, PAGE NO - 44)